Which of the following condition is associated with precocious puberty?
1. Hyperthyroidism
2. Addison's disease
3. McCune Albright syndrome
4. Neuroblastoma

Correct answer: 3. McCune Albright syndrome

Explanation: Mc Cune Albright syndrome clinically manifests as a triad of irregular cafe au lait spots, fibrous dysplasia of long bones with cysts, and precocious puberty. Endocrine abnormalities associated with it are hyperthyroidism, adrenal nodules with Cushing's syndrome, acromegaly, hyperprolactinemia, hyperparathyroidism, hypophosphatemic hyperphosphaturic rickets. Central precocious puberty: In this precocious puberty is caused by premature activation of hypothalamic pituitary axis and is gonadotropic dependent. Incomplete precocious puberty: It is not gonadotropin dependent. Isosexual precocity: In this feminization occur in girls and virilization occur in boys. Contrasexual precocity: In this feminization occur in boys and virilization occur in girls. In all forms of sexual precocity, there is an increase in growth velocity, somatic development, and skeletal maturation. Ref: Styne D. (2011). Chapter 15. Puberty. In D.G. Gardner, D. Shoback (Eds),Greenspan's Basic & Clinical Endocrinology, 9e.